What is false about GIST -
1. Associated with c-kit mutation
2. Most common site is stomach
3. Associated with CD 117
4. Least common mesenchymal neoplasm of gastrointestinal tract

Correct answer: 4. Least common mesenchymal neoplasm of gastrointestinal tract

Explanation: Answer- D. Least common mesenchymal neoplasm of gastrointestinal tractGISTs are the most common mesenchymal neoplasm of gastrointestinal tract.The most useful marker of GIST is c-kit (CD-117).The most common site being the stomach followed by small intestine.